Which of the following is a negative symptom of Schizophrenia?
1. Ambivalence
2. Automatic obedience
3. Anhedonia
4. Delusion

Correct answer: 3. Anhedonia

Explanation: Anhedonia- lack of pleasure in a previously pleasurable activity Negative symptoms in Schizophrenia are: Apathy- Lack of concern Avolition- Loss of drive for goal directed activities Asociality- Lack of social interaction Affective flattening or blunting Alogia- Lack of speech output Anhedonia- Lack of pleasure in previously pleasurable activities. The more the negative symptoms in an individual with Schizophrenia, the worse is the prognosis.